The mineral having sparing action on vitamin E
1. Calcium
2. Iron
3. Iodine
4. Selenium

Correct answer: 4. Selenium

Explanation: The element selenium  is found in the enzyme glutathione  peroxidase  that  destroys  free radicals.  Thus, Se is also involved  in antioxidant functions like vitamin E, and both of them act synergistically.  To a certain extent, Se can spare the requirement  vitamin E, and vice versa.
Ref : Satyanarayana, 3rd ed, pg. 129